Harelip Is due to non fusion of
1. Medial nasal process with lateral nasal process
2. Lateral nasal process with maxillary process
3. Medial nasal process with maxillary process
4. Lateral nasal process with palatal process

Correct answer: 3. Medial nasal process with maxillary process